Papules are seen in all except:
1. Erythema multiformae
2. Sarcoidosis
3. Darrier's disease
4. Leukoplakia

Correct answer: 4. Leukoplakia